Which of the following movement of thumb is lost in ulnar nerve injury
1. Opposition
2. Extension
3. Adduction
4. Abduction

Correct answer: 3. Adduction

Explanation: Weakness of adduction of the thumb, which may be assessed by the presence of Froment's sign.